Which of the following is used for treatment of hypercholestremia:
1. Thiamine
2. Biotin
3. Pyridoxine
4. Nicotinic acid

Correct answer: 4. Nicotinic acid

Explanation: Ans. D: Nicotinic Acid Niacin (Nicotinic acid) is a vitamin that lowers cholesterol levels. It is also called Vitamin B3 or nicotinic acid. Severe niacin deficiency in the diet can cause a disease called Pellagra.